Ionizing radiation affects which stage of cell cycle?
1. G2-S
2. G1-G2
3. G2-M
4. G0-G1

Correct answer: 3. G2-M

Explanation: Direct quote from Robbins…. ‘The G2/M checkpoint monitors the completion of the DNA replication and checks whether the cell can safely initiate the mitosis and separate sister chromatids. This checkpoint is particularly important in cells exposed to ionizing radiation. Cells damaged by ionizing radiation activate G2/M checkpoint and arrest in G2’.